Massage in which triangle of neck is of diagnostic and therapeutic value in arrhythmias?
1. Occipital triangle
2. Carotid triangle
3. Diagastric triangle
4. Muscular triangle

Correct answer: 2. Carotid triangle